Causative agent of malaria -
1. Protozoa
2. Mosquito
3. Bacteria
4. Virus

Correct answer: 1. Protozoa

Explanation: Malarial parasite infecting human belongs to genus plasmodium. P.vivax, P.falciparum,P.malariae,p.ovale.They are protozoa causing malaria in man.In India P.vivax and P. Falciparum are very common.(refer pgno:54 baveja 3 rd edition)